Urinary stone formed in patients with regional bowel enteritis is
1. Calcium oxalate
2. Urate
3. Phosphate
4. Cysteine

Correct answer: 1. Calcium oxalate

Explanation: Calcium oxalate stones are more common in Crohn's patients (regional bowel enteritis)than in the general population because of fat malabsorption. Fat binds to calcium, leaving oxalate free to be absorbed leading to hyperoxaluria and deposition in the kidney, where it can form into stones ref : Bailey 27th edition , chapter 76 , 69 , pg no :- 1406 , 1244